Effective evaluation refers to:
1. Whether programme results meet predetermined objectives
2. The long term outcome of the programme
3. Assess the extent to which programme implementation complies with the program plan
4. Whether programme benefits exceeds the cost incurred

Correct answer: 1. Whether programme results meet predetermined objectives